Elastic cartilage is seen in -
1. Articular cartilage
2. Costal cartilage
3. Epiglottis
4. Intervertebral ds

Correct answer: 3. Epiglottis

Explanation: Ans. is 'c' i.e., Epiglottis {Ref: Textbook of general anatomy/p. 112)o TMJ is a synovial joint of Condylar variety.o The articular surfaces are covered with fibrocartilage. The joint cavity' is divided into upper and lower parts by an intra-articular disc.CARTILAGE SITESo Hyaline cartilage--Articular cartilage in synovial jointsCricoid, thyroid, trachea, bronchiCostal cartilageNasal cartilageEpiphyseal plateArytenoid cartilageo Fibrocartilage--Labrum - glenoid acetabularSymphysisArticular disco Elastic cartilage--Eustachian tubeExternal auditory meatus - auricleComiculate, cuneiform cartilageEpiglottis